Intellectual disability is defined when I.Q. is below :
1. 90
2. 80
3. 70
4. 65

Correct answer: 3. 70

Explanation: C i.e. 70